Vaccination is based on the principle of -
1. Agglunation
2. Phagocytosis
3. Immunologic Memory
4. Clonal Detection

Correct answer: 3. Immunologic Memory

Explanation: Vaccination is artificial active immunity. Active immunity is associated with immunological memory. It is produced actively by host's immune system. Reference : Anathanarayan & paniker's 9th edition, pg no:82,83